Continuous diaphragm sign is seen in
1. Pneumo mediastinium
2. Pseudo pneumomediastrinium
3. Pleural effusion
4. Pulmonary infarct

Correct answer: 1. Pneumo mediastinium

Explanation: Air collects beneath the pericardium so the central part of diaphragm become visible represents pneumo mediastinium.